Drug of choice in Bacteriodes infection is-
1. Gentamicin
2. Metronidazole
3. Tertacycline
4. Penicillin

Correct answer: 2. Metronidazole

Explanation: Bacteria belonging to the B. fragilis group are clinically the most frequently encountered anaerobic pathogens. Metronidazole has been the drug of choice for the treatment of Bacteroides infection and remains reliable for this use . Ref Harrison20th edition pg 1079